Which among the following is an early sign of magnesium toxicity ?
1. Depression of deep tendon reflexes
2. Respiratory depression
3. Cardiac arrest
4. Decreased urine output

Correct answer: 1. Depression of deep tendon reflexes